The following are single gene disorders except
1. Hemochromatosis
2. Cystic fibrosis
3. William's syndrome
4. Huntington's disease

Correct answer: 3. William's syndrome

Explanation: Single-Gene Disorders with Nonclassic Inheritance It has become increasingly evident that transmission of certain single-gene disorders does not follow classic Mendelian principles. This group of disorders can be clas- sified into four categories: * Diseases caused by trinucleotide-repeat mutations * Disorders caused by mutations in mitochondrial genes * Disorders associated with genomic imprinting * Disorders associated with gonadal mosaicism Disorders include : hemochromatosis,cystic fibrosis, Huntington disease Ref Robbins 9/e pg 168